NO is synthesized by
1. Uracil
2. Aspartate
3. Guanosine
4. Arginine

Correct answer: 4. Arginine

Explanation: Nitric oxide is formed from Arginine by the enzyme Nitric oxide synthase.The enzyme utilizes NADPH and molecular oxygen. Citrulline is also formed.Ref: DM Vasudevan - Textbook of Biochemistry, 7th edition, page no: 227